Which one of the following neuroanatomical areas is considered to be involved in the etiology of depression?
1. Amygdala
2. Hippocampus
3. Striatum
4. All of the above

Correct answer: 4. All of the above

Explanation: Ans. D. All of the aboveMany areas of the brain have been implicated in depression, including the prefrontal cortex, amygdala, hippocampus, and thalamus. All of these brain areas contain estrogen receptors that are modulated by estradiol. It is biologically plausible that reproductive steroids might display psychotropic properties because their pattern of neuro regulatory effects is highly convergent with those presumed to underlie psychotropic efficacy. Indeed, whenever one finds a system believed to play a role in the etiology on treatment of depression, modulatory effects of gonadal steroids are observed as well.